In which plane of anaesthesia, movement of eyeball is lost –
1. Stage 3, Plane 1
2. Stage 1, Plane 3
3. Stage 2, Plane 3
4. Stage 4

Correct answer: 1. Stage 3, Plane 1

Explanation: At the end of plane 1 of stage III, eye ball becomes fixed.